The triad of shaken baby syndrome constitutes of?
1. Subdural hemorrhage, retinol hemorrhage, and encephalopathy
2. Retinal hemorrhage, vitreous hemorrhage and hyphema
3. Subarachnoid hemorrhage, vitreous hemorrhage and intracranial hemorrhage
4. Subdural, subarachnoid and intracerebral hemorrhage

Correct answer: 1. Subdural hemorrhage, retinol hemorrhage, and encephalopathy

Explanation: Shaking a baby or young child creates abrupt acceleration-deceleration forces as the baby's head--large in proportion to the neck and body--snaps back and forth. The triad associated with SBS usually comprises subdural haematoma, retinal haemorrhages and encephalopathy.